Pathognomonic of trachoma is:
1. Bulbar papillae
2. Palphebral papillae
3. Bulbar follicles
4. Palpebral follicles

Correct answer: 3. Bulbar follicles

Explanation: Ans. Bulbar follicles